Which of the following is an X-Linked disorder?
1. Color blindness
2. Thalassemia
3. Sickle cell anemia
4. Cystic fibrosis

Correct answer: 1. Color blindness

Explanation: Inheritance pattern of Imporatant Diseases: Autosomal Dominant Autosomal recessive Hereditary spherocytosis, Hypercholesterolemia Ehler-Danlos syndrome Achondroplasia Von Willebrand disease Dystrophica myotonica Osteogenesis imperfecta Marfans syndrome Intermittent porphyria Neurofibromatosis ADPKD Noonan's syndrome Tuberous sclerosis Ataxia telengiectasia Beta-thalassemia, Sickle cell anemia Cystic fibrosis Deafness Emphysema Friedrich ataxia Gauchers Homocystinuria Inborn errors of metabolism X-Linked recessive X-linked dominant Lesch-Nyhan syndrome Hunter syndrome , Hemophilia Chronic granulomatous disease G-6PD deficiency Duchenne muscular dystrophy Color blindness Agammaglobulinemia Alport syndrome fabry disease Wiskott-Aldrich syndrome Rett's syndrome Rickets Alport syndrome Type X charcott-Marie--Tooth disease Ref: Robbins and cotran pathological basis of disease 9th edition Pgno: 142